Catalase positive, beta-hemolvtic staphylococcus -
1. S. aureus
2. S. epidermidis
3. S.saprophyticus
4. None

Correct answer: 1. S. aureus

Explanation: Ans. is 'a' i.e., S. aureus [Ref: Essentials of medical microbiology p. 779\o All staphylococci are catalase positive,o Amongst staphylococci, staph, aureus is beta hemolytic,o Most species of coagulase negative staphylococcus species are non-hemolvtic.o b-hemolytic staphylococci - Staph, aureus.o Non-hemolytic staphylococci - Coagulase-negative staphylococci